For each extra-articular manifestation of RA, select the most likely diagnosis.Associated with increased frequency of infections.
1. Felty syndrome
2. rheumatoid vasculitis
3. episcleritis
4. Sjogren syndrome

Correct answer: 1. Felty syndrome

Explanation: Felty syndrome consists of chronic RA, splenomegaly, and neutropenia. The increased frequency of infections is due to both decreased number and function of neutrophils.